All are true about breastfeeding Except
1. It is available at proper temperature
2. Breastmilk contains antibodies
3. Exclusive breastfeeding upto 6 months of age
4. To be started after 4 hours of normal delivery

Correct answer: 4. To be started after 4 hours of normal delivery

Explanation: All mothers should be supported to initiate breastfeeding as soon as possible after birth, within the first hour after delivery.Provision of mother's breast milk to infants within one hour of birth is referred to as "early initiation of breastfeeding" and ensures that the infant receives the colostrum, or "first milk", which is rich in protective factors.